The first visible sign of puberty in boys -
1. Enlargement of penis
2. Enlargement of testes
3. Appearance of pubic hair
4. Appearance of axillary hair

Correct answer: 2. Enlargement of testes

Explanation: Ans. is 'b' i.e., Enlargement of testes o In girls, the first visible sign of puberty is the appearance of breast buds (Thelarche), between 8-12 years of age. In boys the first visible sign of puberty is testicular enlargement, beginning as early as 9 1/2 yr